Features of carcinoma penis are all except ?
1. Circumcision soon after birth provides total immunity
2. Metastatic to inguinal nodes
3. Surgery treatment of choice
4. Transitional cell carcinoma

Correct answer: 4. Transitional cell carcinoma

Explanation: Ans. is 'd' i.e., Transitional cell carcinoma